A 2 years old child is brought to the emergency with history of fever and vomiting. On examination he has neck rigidity. CSF examination shows polymorphs more than 200 /ml; protein 100 mg/dl and glucose 10 mg/dl. the Gram's stain shows the presence of Gram-negative coccobacilli. The culture shows of bacteria only on chocolate. Agar and not on blood agar. The causative agent is:
1. Neisseria meningitidis
2. Haemophilus influenzae
3. Branhatnella catarrhalis
4. Legionella pneuntophila

Correct answer: 2. Haemophilus influenzae

Explanation: Ans. (b) H. influenzae See the morphology of asked bacteria, you will know the answer. H. influenzae - Gram-negative coccobacilli N. meningitidis - Gram-negative cocci Legionella - Gram-negative coccobacilli B. catarrhalis - Gram-negative cocci